Nasal septum perforation occurs in all the following except:
1. Tuberculosis
2. Nasal surgery
3. Syphilis
4. Allergic rhinitis

Correct answer: 4. Allergic rhinitis

Explanation: (d) Allergic rhinitis(Ref. Scott Brown, 8th ed., Vol 1; 1150)Rhinosporidiosis is a Protistan Protozoa infection and does not lead to septal perforation.